Hyperkeratosis of palm and sole is seen in:
1. Carcinoma colon
2. Hepatoma
3. Adenocarcinoma lung
4. Ca oesophagus

Correct answer: 4. Ca oesophagus

Explanation: Answer is D (Ca Esophagus) Congenital hyperkeratosis and pitting of palms and soles (Le tylosis palmaris et plantaris) is a known etiological factor for squamous Ca of Esophagus' - Harrison